Bolam test is related to?
1. Medical negligence
2. Contributory negligence
3. Priviledged communication
4. Negligence by patient

Correct answer: 1. Medical negligence

Explanation: Ans. is 'a' i.e., Medical negligence [Ref judgment given by Mr. Justice Mc Nair in Bolam vs. Frien hos ,ital management committee (19511 IS a landmark decision in deciding cases of medical negligence and is known as the "Bolam test.Actions of doctors are to be judged by actions of other doctors skilled in that particular a under similar circumstances and at a material time.